The commonest hepatotropic virus progressing to chronicityis :
1. HEV
2. HAV
3. HBV
4. HCV

Correct answer: 4. HCV

Explanation: Answer is D (HCV): Most common hepatitis to progress to chronicity is Hepatitis C. `Chronic hepatitis follows acute hepatitis in 50-70% of cases. Even in hose with a return to normal in AST/ALT levels after acute hepatitis C, chronic injection is common adding upto 85-90% likelihood of chronic HCV infection after acute hepatitis C.' - Harrison 16th/ 1849 Parameter HAV HBV HCV HDV HEV Progression to chronicity None Occasional (1-10%) Common (50-70%) *Common None * In acute HBV/HDV co infection, the frequency of chronicity is the same as that for HBV. In HDV superinfection chronicity is variable Clinical and epidemiologic features of viral hepatitis: Features HAV HBV HCV HDV HEV Incubation (days) Age 15-45 Children, young Adults 30-180 Young adults 15-160 Any age but more in adult 30-180 Any age 14-60 Young adults Transmission Fecal-oral +++ --- --- --- +++ Percutaneous Unusual +++ +++ +++ --- Perinatal --- +++ + + --- Sexual + ++ + ++ --- Clinical Severity Mild Occasionally Moderate Occasionally Mild Severe Severe Fulminant .1% .1%-l% .1% 5-20% 1-2% Progression to chronicity None Occasional (I- 10%) Common (50-70%) Common None Carrier None Q 01%-30% 1.5 to 3.2% Variable None Q Cancer None Q +nt +nt Variable None Q Prognosis Excellent Worse with age Moderate Acute: good Good Chronic: poor Prophylaxis IgG Vaccine HBIG None - Unknown Recombinant vaccine Memo : HCV is the most common Virus associated with transfusion associated hepatitis Q No vaccine / prophylaxis is available for HCV Q Malignant potential is present with HCV (also with HBV)